side effect of bupropion is
1. relapse of smoking
2. seizures
3. impairs attention
4. decreases sexual desire

Correct answer: 2. seizures

Explanation: NDRI * IMPOANCE Anti-depressant which does not deal with serotonin neurotransmission Also called as Zyban * MECHANISM Prevents reuptake of nor adrenaline and dopamine * DRUGS Bupropion * USE ADHD SMOKING CESSATION HYPOACTIVE SEXUAL DESIRE DISORDER * SIDE EFFECTS seizures ref, kaplon and sadock, synopsis of psychiatry, 11 th edition, pg no. 955